One of them is not a true cyst:
1. Hemorrhagic cyst
2. Median palatal
3. Globulornaxillary
4. Nasolabial

Correct answer: 1. Hemorrhagic cyst